Rupture of sclera in ocular contusion is seen most commonly in:
1. Superonasal quadrant
2. Superotemporal quadrant
3. Inferonasal quadrant
4. Inferotemporal quadrant

Correct answer: 1. Superonasal quadrant

Explanation: Ans. Superonasal quadrant